Which of the following is terminal group of axillary lymph node?
1. Pectoral
2. Apical
3. Lateral
4. Central

Correct answer: 2. Apical

Explanation: It receives lymphatic drainage from all other axillary nodes . The nodes of the apical or infraclaaicular group lie deep to the clavipectoral fascia, along the axillary vessels. They receive lymph from the central group, from the upper part of the breast, and from the thumb and its web. The lymphatics from the thumb accompany the cephalic vein REF - BDchaurasia 6e p53